Benign condyloma is Associated with which condition (SELECT 1 CONDITION)
1. Infection by human papillomavirus (HPV) type 11
2. Infection by HPV type 16
3. Infection by HPV type 18
4. Lichen sclerosus

Correct answer: 1. Infection by human papillomavirus (HPV) type 11

Explanation: Human papillomavirus (HPV), in particular types 16, 18, and 31, has been linked to cervical neoplasia. HPV types 6 and 11 are associated with benign condyloma. Two types of vulvar dystrophies exist: lichen sclerosus and hyperplastic dystrophy. When hyperplastic dystrophy is found to have atypical features, the lesion is thought to be premalignant. Lichen sclerosus is a benign condition that does not develop cellular atypia.